Laser used in LASIK -
1. Yag
2. Diode
3. Excimer
4. None

Correct answer: 3. Excimer

Explanation: Ans. is 'c' i.e., Excimer o PRK, PTK, LASIK and LASEK use excimer (argon fluoride) laser.Lasers used in ophthalmologyLaserWavelength (nanometer)Clinical applicationsNd: YAG (Neodymium - Yttrium-1064Posterior capsulotomy, iridotomy, vitreolysisAluminium- Garnet) Frequency- doubled Nd:YAG532Retinal photocoagulation, cyclophotocoagulationArgon green514Trabeculoplasty, iridoplasty, pupillomydriasis, retinal photocoagulationDiode laser800Retinal photocoagulationKrypton red714Retinal photocoagulationExcimer (argon fluoride)193Photorefractive keratectomy (PRK), phototherapeutic keratectomy (PTK), LASIK, LASERFemtosecond laser (neodymium-glass)1053Femtosecond laser assisted refractive surgery, lamellar and full thickness corneal transplantsRetinal photocoagulation includes treatment for diabetic retinopathy, other causes of retinal neovascularization or retinal oedema, retinal breaks, central serous retinochoroidopathy, subretinal neovascular membranes, small retinal tumours, angiomas, etc. Argon green laser is the most widely used but other lasers are increasingly being used as substitutes in certain situations.